Cause of asymmetrical enlargement of orbit
1. Optic nerve glioma
2. Retinoblastoma
3. Neurofibroma
4. Lacrimal gland tumour

Correct answer: 4. Lacrimal gland tumour

Explanation: Asymmetrical enlargement of orbit 

Rhabdomyosarcoma
Dermoidcyst
Lacrimal gland tumour.